Bifid ribs, multiple radiolucent lesions of the jaws, multiple basal cell nevi and falx cerebri calcification are found in
1. Basal cell nevus syndrome
2. Sturge weber syndrome
3. Horner syndrome
4. Hereditary internal polyposis

Correct answer: 1. Basal cell nevus syndrome